Important adverse effect of nesiritide is
1. Dysgusua
2. Hypotension
3. Cough
4. Angioedema

Correct answer: 2. Hypotension

Explanation: The recommended dose of Natrecor is an IV bolus of 2 mcg/kg followed by a continuous infusion of 0.01 mcg/kg/min....Common side effects may include: headache, mild dizziness; nausea, vomiting; back pain; numbness or tingly feeling; tremors; or. vision changes Refer Goodman and Gilman 11e p696